During a voluntary movement, the Golgi tendon organ provides the central nervous system with information about
1. The length of the muscle being moved
2. The velocity of the movement
3. The blood flow to the muscle being moved
4. The tension developed by the muscle being moved

Correct answer: 4. The tension developed by the muscle being moved

Explanation: (D) The tension developed by the muscle being moved # The Golgi tendon organ (GTO) is located in the tendon of skeletal muscles & therefore is in series with the muscle.> Each time the muscle contracts, the tension developed by the muscle causes the GTO to be stretched. It helps to control the tension developed in the muscle.> The 1b afferent fibers, which innervate the GTO, fire in proportion to the amount of GTO stretch, and therefore their firing rate provides the CNS with information about the amount of tension developed by the muscle.> The muscle length and speed of shortening are sent to the CNS by la afferents that innervate the intrafusal fibers within muscle spindles.